Regarding to the anorectal angle, True Statement is:
1. Important role in continence mechanism
2. It is due to the pull of the external sphincter
3. It is around 30 degrees at rest
4. The angle decreases at the time of defection

Correct answer: 1. Important role in continence mechanism

Explanation: Ans. (a) Important role in continence mechanismRef: Internet sources* Most important ring to maintain the continence is this angle* During rest the angle is completely closed with an angle of 90deg-100deg* The angle becomes more acute 70deg-90deg if patient contracts anal sphincter and pelvic floor muscles - so that stools are prevented from coming out.* During Squatting the angle becomes obtuse (> 110- 180 degree and opens up and the motion passed.